Anterior fontanelle is located between which two bones?
1. Frontal & occipital
2. Frontal & parietal
3. Parietal & occipital
4. Frontal & zygomatic

Correct answer: 2. Frontal & parietal

Explanation: b. Frontal and parietal(Ref: Nelson's 20/e p 71-72, Ghai 8/e p 12-13)